Jaundice in a newborn seen after 48 hours of birth with bilirubin not exceeding 5 mg% is:
1. ABO incompatibility
2. Haemolytic disease of new born
3. Neonatal hepatitis syndrome
4. Physiological jaundice

Correct answer: 4. Physiological jaundice

Explanation: Ans: dRef: Pedia ghai, 6th ed, p. 170, 171